All are true regarding clostridium tetani except:
1. Produces heat resistant spores
2. Incubation period 6-11 days
3. 3 primary doses of vaccine needed for full protection
4. Man-to-man transmission is seen

Correct answer: 4. Man-to-man transmission is seen

Explanation: Ans. (d) i.e. Man-to-man transmission is seen There is no man to man transmission or a tetanus patient is not infectious. Other Options Option 'a' Cl. Tetani produce terminal spores which are highly resistant to boiling, cresol, autoclaving for 15 min at 120degC. Spores are best destroyed by steam under pressure at 120degC for 20 minutes or by gamma irradiation. Option 'b' I.P. of tetanus is usually 6-10 days however it may be as short as one day or as long as several months. Option 'c' Tetanus is best prevented by active immunization with tetanus toxoid The aim is to ensure a life long antitoxin level . 0.01 IU/ml. This can be accomplished either by combined vaccine (DPT) at interval of 48 weeks starting at 6 weeks of age followed by booster at 18 months of age, and a second booster (only DT) at 5-6 years of age For monovalent vaccine a primary course of immunizaation consists of two doses of TT given at interval of 1-2 months. This is followed by a booster dose 1 year after the initial dose. Second booster dose is advised after 5 year. Thus, total 4 doses of monovalent vaccine ensure life long protection in an adult.